Which of the following is the most common renal vascular anomaly
1. Supernumerary renal arteries
2. Suprnumerary renal veins
3. Double renal arteries
4. Double renal veins

Correct answer: 1. Supernumerary renal arteries

Explanation: Supernumerary renal arteries (two or more arteries to a single kidney) are the most common renovascular anomaly.The main renal artery may manifest early branching after originating from the abdominal aorta and before entering the renal hilum . The detection of these is significant in the evaluation of the patients for donor nephrectomy . Accessory renal arteries are distinct to supernumery arteries and commonly derived from the abdominal aorta, rarely iliac, and superior mesenteric artery in addition to main renal artery.. RIGHT SIDE :-20% Aortic origin 7.5% Renal origin 2.5% sup.mesenteric origin LEFT SIDE:-27.5% Aortic origin 10% Renal origin